Which of the following sensation are transmitted by the Dorsal Tract/Posterior column
1. Fine touch
2. Pain
3. Temperature
4. All of the above

Correct answer: 1. Fine touch

Explanation: Sensations carried by posterior column
-        Proprioception, Vibration, kinesthesia, fine touch.
Sensations carried by anterolateral column
-        Temperature, pain (lateral) and crude touch (anterior)